Which protease inhibtor has boosting effect ?
1. Amprenavir
2. Tenofovir
3. Nelfinavir
4. Ritonavir

Correct answer: 4. Ritonavir